Which of the following is not a genetic syndrome associated with diabetes?
1. Down syndrome
2. Klinefelter syndrome
3. Turner syndrome
4. Angelman syndrome

Correct answer: 4. Angelman syndrome

Explanation: - Genetic syndromes associated with diabetes are: Down syndrome Klinefelter syndrome Turner syndrome Werner syndrome Prader willi syndrome - Angelman syndrome is a/w phenomenon of MATERNAL GENOMIC IMPRINTING with features of intellectual disability, ataxia, seizures & inappropriate laughter.